A lady came with complaints of a bluish lesion over left side of forehead and left eye. Shows irregular bluish lesion in left superior conjunctiva and forehead. What is most probable diagnosis ?
1. Nevus of Ota
2. Nevus of Ito
3. Becker's nevus
4. Mongolian spot

Correct answer: 1. Nevus of Ota

Explanation: Nevus of Ota: Unilateral bluish grey colour discolouration. Along ophthalmic and maxillary division of Trigeminal nerve. Naevus of ito- along acromioclavicular nerve (neck)Mongolian spots- Bluish discoloration in infants (MC site is lower back)Becker's nevus- Hyperpimented path with hypertrichosis over upper trunk